A nucleic acid was analyzed and found to contain 32% adenine, 18% guanine, 17% cytosine and 33deg/o thymine. The nucleic acid must be:
1. Single-stranded RNA
2. Single-stranded DNA
3. Double-stranded RNA
4. Double stranded DNA

Correct answer: 4. Double stranded DNA

Explanation: D i.e. Double stranded DNA